Which one of the following drug is effective in painful tingling sensation due to diabetic neuropathy-
1. Aspirin
2. Ibuprofen
3. Gabapentin
4. Tramodoi

Correct answer: 3. Gabapentin

Explanation: Ans. is 'c' i.e., Gabapentin Gabapentin is used in neuropathic pain.